The following are causes of face presentation in a foetus? 1. Anencephaly 2. Multiparity 3. Hydraminos 4. Contracted Pelvis 5. Placenta praevia
1. 1, 2, 3 - False & 4, 5 - True
2. 2, 3, 4 - True & 1, 5 - False
3. 2, 3, 4 - False & 1, 5 - True
4. 1, 2, 4 - True & 3, 5 - False

Correct answer: 4. 1, 2, 4 - True & 3, 5 - False

Explanation: Face presentation can occur due to maternal and fetal factors. Maternal factors includes multiparity, lateral obliquity of uterus and contracted pelvis. Fetal factors includes anencephaly, congenital goitre, dolichocephalic head with long AP diameter, congenital branchocele, twisting of the cord round the neck and increased tone of extensor group of neck muscles. Ref: Textbook of Obstetrics by D.C Dutta 6th edition page 389.